Surface antigen of E coli acting as virulence factors are:-
1. LPS O Antigen
2. Capsular K antigen
3. Fimbriae
4. All of the above

Correct answer: 4. All of the above

Explanation: Virulence factors of E. coli: Surface antigens Toxins Somatic or O ag- Lipopolysaccharide (LPS), most important virulence factor & responsible for endotoxic activities LT (heat labile toxin) - - | cAMP so causes excessive secretion of Na/Cl/H2O from within to outside the cell = secretory diarrhea Flagellar or H Ag- Makes the bacteria motile. ST (heat stable toxin)- - | cGMP so fluid accumulation in gut = Diarrhea Capsular or K Ag- It is a polysaccharide capsular Ag, inhibits the phagocytosis. Verocytotoxin or Shiga like toxin - - It inhibits the protein synthesis by binding to 28S subunit of 60S ribosome = Cell death Fimbrial antigen (Pilus) - helps in attachment & colonization.